Best way to dispose e-waste is
1. Burning
2. Recycling
3. In a landfill
4. Incineration

Correct answer: 2. Recycling